Lucid interval is classically seen in:
1. Epidural hemorrhage
2. Subdural hemorrhage
3. Intraparenchymal hemorrhage
4. None of the above

Correct answer: 1. Epidural hemorrhage

Explanation: Epidural hemorrhage has a classic three-stage clinical presentation that is probably seen in only 20% of cases. The patient is initially unconscious from the concussive aspect of the head trauma. The patient then awakens and has a lucid interval while the hematoma subclinically expands. As the volume of the hematoma grows, the decompensated region of the pressure-volume curve is reached, ICP increases, and the patient becomes lethargic and herniates. Uncal herniation from an EDH classically causes ipsilateral third nerve palsy and contralateral hemiparesis. Ref: Schwartz's principle of surgery 9th edition, chapter 42.